Which of the following would be most likely causing methotrexate therapy failure in ectopic pregnancy treatment.
1. Multiparous woman
2. Ectopic size > 2.5 cm
3. Previous history of ectopic pregnancy
4. Serum β hcG level of 9000 mIU / mL.

Correct answer: 4. Serum β hcG level of 9000 mIU / mL.

Explanation: With methotrexate therapy, serum β-hcG levels should decline. If β-hcG rises then it is failure of medical management.